Commonest malignancy in HIV patient ?
1. Kaposi sarcoma
2. Adenoma of stomach
3. Astrocytoma
4. CNS lymphoma

Correct answer: 1. Kaposi sarcoma

Explanation: Ans is 'a' ie. Kaposi Sarcoma Neoplastic ds seen in AIDS a) Kaposi Sarcoma (MC)* d) Multiple Myeloma b) Non-Hodgkins lymphoma (2nd MC)* e) Melanoma c) Hodgkins lymphoma f) Cervical, brain, testicular, oral cancers